Oligospermia is a side effect of which of the following drug:
1. Methotrexate
2. D-Penicillamine
3. Lefluonamide
4. Hydroxychloroquine

Correct answer: 1. Methotrexate

Explanation: Methotrexate